A neurosurgeon saw a child with precocious puberty and uncontrollable laughing. He suggested the parent of child to get a MRI done to evaluate for the possibility of?
1. Craniopharyngioma
2. Hypothalamic Hamartoma
3. Pheochromocytoma
4. Pituitary adenoma

Correct answer: 2. Hypothalamic Hamartoma

Explanation: Hypothalamic hamartomas and gangliocytoma may arise from astrocytes, oligodendrocytes, and neurons with varying degrees of differentiation. These tumors may overexpress hypothalamic neuropeptides, including GnRH, GHRH, and CRH. With GnRH-producing tumors, children present with precocious puberty, psychomotor delay, and laughing-associated seizures. Medical treatment of GnRH-producing hamartomas with long-acting GnRH analogues effectively suppresses gonadotropin secretion and controls premature pubertal development. Ref:Melmed S., Jameson J.L. (2012). Chapter 339. Disorders of the Anterior Pituitary and Hypothalamus. In D.L. Longo, A.S. Fauci, D.L. Kasper, S.L. Hauser, J.L. Jameson, J. Loscalzo (Eds), Harrison's Principles of Internal Medicine, 18e.